Which is the most common electrolyte abnormality causing seizures in hospitalized patients?
1. Hyponatremia
2. Hypernatremia
3. Hypokalemia
4. Hyperkalemia

Correct answer: 1. Hyponatremia

Explanation: Hyponatremia is MC electrolyte abnormality in hospitalized patients and values <120 mEq/dl lead to cerebral edema and resultant seizures. Plasma Na+ concentration <135 mM, is a very common disorder, occurring in up to 22% of hospitalized patients. This disorder is almost always the result of an increase in circulating AVP and/or increased renal sensitivity to AVP, combined with an intake of free water; a notable exception is a hyponatremia due to the low solute intake.